Study of small intestine by barium infused through a Nasojejunal tube is called as
1. Barium meal
2. Barium meal follow through
3. Barium enema
4. Enteroclysis

Correct answer: 4. Enteroclysis

Explanation: Enteroclysis : Barium introduced directly into the small intestine gives excellent visualisation by challenging the distensibility of intestinal loops, thereby making it easier to identify the presence of morphological abnormalities. Barium swallow is the contrast study from oral cavity upto the fundus of the stomach.Barium meal is the radiological study of oesophagus, stomach, duodenum and proximal jejunum. It is done by oral administration of contrast media (Barium sulphate). Barium meal follow through -It is the radiographic examination of the GIT-oesophagus, stomach, duodenum, small bowel and ileocaecal junction by oral administration of contrast media. It is so called because it is performed following a barium meal examination of the oesophagus, stomach and duodenum. Barium enema-It is the radiographic study of the large bowel by administration of the contrast medium through the rectum.